All of the following can cause megakaryocyte thrombocytopenia, except:
1. Idiopathic thrombocytopenic purpura
2. Systemic lupus erythematosus
3. Aplastic anemia
4. Disseminated intravascular coagulation (DIC)

Correct answer: 3. Aplastic anemia

Explanation: . Aplastic anemia